Most common site of TB ?
1. Spine
2. Knee
3. Hip
4. Shoulder

Correct answer: 1. Spine

Explanation: Ans. is 'a' i.e., Spine Skeletal tuberculosis Tuberculous infection of bone (osteomyelitis) is a form of secondary osteomyelitis caused by hematogenous dissemination from a primary infected visceral focus. The primary focus may be active or quiescent, apparent or latent, either in the lungs, lymph glands or other viscera.